Dying declaration can be received by -
1. Medical officer
2. Lawyer
3. Police officer
4. All

Correct answer: 4. All

Explanation: Ideally dying declaration should be recorded by the executive or honorary magistrate, but can also be recorded by a doctor, village headman, police or any other person, if there is no time to call a magistrate.